Which is not a feature of cerebral malaria
1. Perivascular demyelination
2. Durck granuloma
3. Prolifereated glial cells arranged radially
4. Lesion is not related to parasite

Correct answer: 4. Lesion is not related to parasite

Explanation: In cerebral malaria caused by plasmodium falciparum, the brain vessels are plugged with parasitized red cell.
The degree of parasitemia and the intesity of erythrocyte packing is greater in cerebral malaria than in other fatal malaria which are not comatose.
Different architectural type of hemorrhages are seen -


Simple petechial hemorrhages

- Zonal ring hemorrhages
- Durck's granulomata
Durcks granulomos

Accumulation of glial cells surrounding hemorrhages
The proliferated glial cells are arranged radially around the central capillary vessels.
With increasing hypoxia there is degeneration of neurons.